Advocated apical seal for dowel core is
1. 2 mm
2. 5 mm
3. 8 mm
4. 10 mm

Correct answer: 2. 5 mm